Which of the following best represents the importance of Rheumatoid factor in rheumatoid arthritis?
1. Rheumatoid factor is associated with bad prognosis
2. Rheumatoid factor correlates with disease activity
3. Rheumatoid factor is very common in childhood Rheumatoid arthritis
4. Absent rheumatoid factor rules out the diagnosis of Rheumatoid arthritis

Correct answer: 1. Rheumatoid factor is associated with bad prognosis

Explanation: Rheumatoid factor (RF) consists of heterogeneous autoantibodies of the IgM class that react against the Fc region of human IgG. It is found in 70% of rheumatoid arthritis patients and is associated with a worse prognosis, since higher levels of rheumatoid factor are associated with more aggressive disease, rheumatoid nodules and extra articular manifestations. Ref: Elective Hand Surgery: Rheumatological and Degenerative Conditions, Nerve Compression Syndromes By Michel Merle, Page 97 ; Measuring Immunity: Basic biology and Clinical Assessment By Michael T. Lotz, Page 189